Not an absolute contraindication for corneal transplantation is
1. Subacute Sclerosing panencephalitis
2. Rabies
3. Tubercular meningitis
4. Death due to unknown cause

Correct answer: 3. Tubercular meningitis

Explanation: Tubercular meningitis is a relative contraindication for corneal transplantation as the cornea may not be damaged and disease is not transmissible by this procedure. Contraindications : Death from unknown cause. Infections -HIV, viral hepatitis, syphilis, congenital rubella, tuberculosis, septicaemia and active malaria. Prior high-risk behaviour Commercial sex wrokers, Men who have sex with men, IV drug abusers Within the last 12 months: sex with someone with high-risk behaviour, lives in Africa, or received blood clotting factor concentrates; tattooing, acupuncture or ear/body piercing; imprisonment. Infectious/possibly infectious diseases of CNS,- prion diseases, SSPE, PML, encephalitis, Dementias, Alzheimers, Parkinsons, MS and MND. Receipt of a transplanted organ. Receipt of human pituitary-derived growth hormone. Brain or spinal surgery before 1992. Most haematological malignancies. Ocular disease- likely to compromise graft outcome Rabies